Eosinophilia in necrosed tissue is due to -
1. Coagulation of proteins
2. Denaturation of enzymes
3. Denaturation of protein
4. Mitochondrial damage

Correct answer: 3. Denaturation of protein

Explanation: Ans. is 'c' i.e., Denaturation of protein o Necrotic cells show increased eosinophilia in hematoxylin and eosin (H & E) stains.o It is due to -i.) Loss of cytoplasmic RNA (or ribonucleoprotein/RNP) which binds the blue dye, hematoxylin.ii) Denatured cytoplasmic proteins which bind the red dye, eosin.